Which of the following does not handle the free radicals in the lens
1. Vitamin A
2. Vitamin E
3. Vitamin C
4. Catalase

Correct answer: 1. Vitamin A

Explanation: Lens has two major antioxidant Vitamin C and Vitamin E also it has two detoxifying enzymes that is catalase and superoxide dismutase Refer: Khurana 6th edition page number 219